Lesbianism is also called as:
1. Tribadism
2. Eonism
3. Sodomy
4. Onanism

Correct answer: 1. Tribadism

Explanation: Ans. Tribadism